P Selectins are associated with which of the following processes in leukocytes?
1. Rolling
2. Adhesion
3. Margination
4. All of the above

Correct answer: 1. Rolling

Explanation: The initial rolling interactions are mediated by a family of proteins called selectins. There are three types of selectins: one expressed on leukocytes (L-selectin), one on endothelium (E-selectin), and one in platelets and on endothelium (P-selectin). Ref: Robbins, 8th edition, Chapter 2.